Vitamin-Bl is named so because
1. First to be discovered in B complex vitamins
2. First to be classified in B complex vitamins
3. Most important vitamin for the body
4. None of the above

Correct answer: 1. First to be discovered in B complex vitamins

Explanation: (A) First to be discovered in B complex vitamins > Thiamine was the first of the water-soluble vitamins to be described, leading to the discovery of more such trace compounds essential for survival and to the notion of vitamin.